Emporiatrics is a science dealing with -
1. Health of travellers
2. Occupational health
3. Making new drugs
4. Genetic disease frequency

Correct answer: 1. Health of travellers

Explanation: Ans. is 'a' i.e., Health of travellers o Emporiatrics (Travel medicine) is the science dealing with health of travellers.o Ergonomics is the scientific discipline that seeks to understand and improve human interactions with products, equipment, environments and system. It simply means "fitting the job to the worker